Definitive treatment of Grave's thyrotoxicosis:
1. Carbimazole
2. Steroids
3. Hemithyroidectomy
4. Radioiodine

Correct answer: 4. Radioiodine

Explanation: Ans. (d) RadioiodineRef: Schwartz 10th edition, Page 1534* RAI ablation with I-131 is the best method to manage Thyrotoxicosis due to Graves disease except in children and pregnant women